A 52-year-old woman presents with exertional fatigue and ascites. She is noted to have a rapid, irregular pulse rate. The chest X-ray reveals a small heart with calcification seen on the lateral view. The 12-lead ECG demonstrates low QRS voltage. Clinical diagnosis is?
1. Rheumatic pan-carditis
2. Constrictive pericarditis
3. Restrictive cardiomyopathy
4. Acute cor-pulmonale

Correct answer: 2. Constrictive pericarditis

Explanation: Calcification & low QRS voltage - indicates Constrictive pericarditis Other option: 1. Restrictive cardiomyopathy -No calcification 2. Acute Cor pulmonale- clots will be present 3. Rheumatic pan carditis - affects children